ECT is indicated in -
1. Neurotic depression
2. Auditory hallucination
3. Schizophrenia
4. Delusional depression

Correct answer: 4. Delusional depression

Explanation: ECT is given in severe depression with psychotic symptoms (e.g. delusion).